Trans-esophageal echocardiography is better than transthoracic Echocardiography because of better evaluation of?
1. Diastolic dysfunction
2. Left ventricular hypertrophy
3. Systolic function
4. Left atrial appendage clots

Correct answer: 4. Left atrial appendage clots

Explanation: Ans. (d) Left atrial appendage clots\Ref.: Harrison 19th ed. I270e~2T.E.E. is preferred over the routine Trans-thoracic echocar- diography for the following situations:* Internal heart structures and path of blood flow in congenital heart disease* To evaluate the effects of surgical intervention to the heart, such as repair of congenital heart defects.* When echo is indicated, but other circumstances (i.e., pulmonary disease) that may interfere with the ability to obtain adequate images are present, a TEE may be more appropriate.* Mitral valve diseases* Blood clots or masses inside the heart* Aortic Dissection* Implanted prosthetic heart valves may be better visualized and assessed with T.E.E.* To evaluate for blood clots in the heart prior to cardioversion or ablation procedures.